Parkinsonism is associated with which metal?
1. Mg
2. Se
3. Mn
4. Mo

Correct answer: 3. Mn

Explanation: Harrison's principles of internal medicine 17th edition. *Exposure to manganese, CO,disulfides, cyanide and methanol can lead to parkinsonism